Odour receptors are present in:
1. Olfactory epithelium
2. Olfactory tract
3. Amygdala
4. Olfactory bulbs

Correct answer: 1. Olfactory epithelium

Explanation: The Sense of Smell. Smell depends on sensory receptors that respond to airborne chemicals. In humans, these chemoreceptors are located in the olfactory epithelium -- a patch of tissue about the size of a postage stamp located high in the nasal cavity.